All are true about congenital rubella syndrome, Except
1. Cardiac abnormality
2. Renal anomalies
3. Deafness
4. Cataract

Correct answer: 2. Renal anomalies

Explanation: Ans. is 'b' renal anomalies (Ref Nelson Pediatrics, 17/e, p 569, 1033 (16/e, p. 952)).Congenital Rubella affects virtually all organ systems.Manifestations are -Intrauterine growth retardation.Cataracts bilateral or unilateral*Microphthalmia*Cardiac defects (PDA (MC)*, pulmonary stenosis*, VSD*, ASD*)Skin lesionsDeafness*Pneumonia, Hepatitis, Bone lucenciesThrombocytopenia*Mental and Motor Retardation*Diagnosis - Confirmed byFinding Rubella Specific IgM antibody* in the neonatal serum.Culture of the Rubella virus from infant.